All are present in dense granules of platelets EXCEPT:
1. ADP
2. vWF
3. Calcium
4. Serotonin

Correct answer: 2. vWF

Explanation: Vwf REF: Ganong 22"' ed chapter 27 Platelet has (a) Dense granules: contain the non-protein substances that are secreted in response to platelet activation, including serotonin, ADP, and other adenine nucleotides (b)Alpha granules: contain secreted proteins other than the hydrolases in lysosomes. These proteins include clotting factors and platelet-derived growth factor (PDGF). (c) Platelet membranes contain receptors for collagen, ADP, vessel wall von Willebrand factor , and fibrinogen